The prerequisites for internal rotation of the head are all except:
1. Well-flexed head
2. Efficient uterine contraction
3. Favourable shape of the pelvis
4. Tone of the abdominal muscles

Correct answer: 4. Tone of the abdominal muscles